In a lady at 32 weeks pregnancy is given an injection of dexamethasone to prevent which of the following in the newborn ?
1. Respiratory Distress Syndrome
2. Neonatal convulsion
3. Neonatal jaundice
4. Cerebral palsy

Correct answer: 1. Respiratory Distress Syndrome

Explanation: The lung maturity occurs at 34 weeks of gestation and this is certified by checking the L:S ratio which should be > 2:1 or appearance of Phosphatidyl glycerol in the amniotic fluid. Maternal administration of corticosteroid is advocated where the pregnancy is less than 34 weeks. This helps in fetal lung maturation so that the incidence of RDS, Intra Ventricular Hemorrhage , Necrotising Enterocolitis , and Patent Ductus Arteriosus are minimized. Respiratory distress of newborn often results in multiple debility in the fetus if not prevented.